An increased incidence of vitiligo is found is –
1. Psoriasis
2. Nutritional deficiency
3. Old age
4. Diabetes mellitus

Correct answer: 4. Diabetes mellitus

Explanation: Vitiligo is associated with other autoimmune disorders like Diabetes mellitus, Graves disease, Hashimoto thyroiditis, Addisons disease, MEN.